Sleep waves in the hippocampal area are
1. Delta
2. Theta
3. Beta
4. Alpha

Correct answer: 2. Theta

Explanation: Sleep waves and brain areas
-        Alpha rhythm- Parietal and occipital lobe
-        Beta rhythm- Frontal lobe
-        Theta rhythm- Hippocampus (Mammals other than human), Cortex (Human)